Bone marrow apalsia is seen with all except ?
1. Methicillin
2. Chloramphenicol
3. Alpha methyl hydantoin
4. Phenylbutazone

Correct answer: 1. Methicillin

Explanation: Ans. is 'a' i.e., Methicillin Causes of drug induced aplastic anemia Antibiotics Chloramphenicol Cotrimoxazole Nitroforantoin Antiinflammatory Phenylbutazone lndomethacin Diclofenac Antithyroid Carbimazole Methimazole Methylthiouracil Psychotropic Phenothiazine Anticonvulsant Phenytoin (alpha methyl hydantoin) Antirheumatic Gold salts D penicillamine Cytotoxic drugs Vincristine Adriamycin Methotrexate Chlorambucil